A 21-year-old girl is having vaginal discharge one week after unprotected sexual intercourse. The smear of vaginal discharge is shown below. All are diagnostic criteria for the condition shown except:
1. Vaginal pH<4.5
2. Positive whiff test
3. Clue cells >20% of cells
4. Presence of more Gardnerella with few lactobacillus

Correct answer: 1. Vaginal pH<4.5

Explanation: Ans. A. Vaginal pH<4.5The image shows vaginal epithelial cells covered with coccobacilli, leading to stippled appearance of the cell. This appearance is called Clue cell and is diagnostic of bacterial vaginosis.